All are true regarding mesothelioma except ?
1. Bilaterally symmetrical
2. Associated with asbestos exposure
3. Histopathalogy shows biphasic pattern
4. Occurs in late middle age

Correct answer: 1. Bilaterally symmetrical

Explanation: Mesothelioma arises from mesothelial lining of serous cavities like pleural cavity & rarely in peritoneal cavity & pericardial sac.Pleural mesothelioma is either solitary(benign) or diffuse (malignant).Malignant mesothelioma is associated with asbestos exposure and occurs in late middle age.Histologically , it has got a biphasic pattern with whorls of collagen & reticulin with interspersed fibroblasts. Reference:Textbook of pathology-Harsh Mohan-6th edition,page no:505